Laminar necrosis and watershed infarcts are most suggestive of
1. Shock
2. Hypertension
3. Fat emboli
4. Vascular thrombosis

Correct answer: 1. Shock

Explanation: Decreased brain perfusion may be generalized (global) or localized. Global ischemia results from generalized decreased blood flow, such as with shock, cardiac arrest, or hypoxic episodes (e.g., near drowning or carbon monoxide poisoning). Global hypoxia results in watershed (border zone) infarcts, which typically occur at the border of areas supplied by the anterior and middle cerebral arteries, and laminar necrosis, which is related to the short, penetrating vessels originating from pial arteries. The Purkinje cells of the cerebellum and the pyramidal neurons of Sommer's sector in the hippocampus are particularly sensitive to hypoxic episodes. Atherosclerosis, which predisposes to vascular thrombi and emboli, is related to regional ischemia. Hypertension damages parenchymal arteries and arterioles, producing small ischemic lesions (lacunar infarcts). Fat emboli, related to trauma of long bones, lodge in small capillaries to form petechiae. Venous sinus thrombosis is related to systemic dehydration, phlebitis, and sickle cell disease. Ref - Harrison's internal medicine 20e pg 1117, 2039-2040